Most common benign tumor of liver
1. Focal nodular hyperplasia
2. Adenoma
3. Hemangioma
4. Angiolipoma

Correct answer: 3. Hemangioma

Explanation: BENIGN LIVER TUMORSThree common benign tumors occur and all are found predominantly in women. They are hemangiomas, adenomas, and focal nodular hyperplasia (FNH). FNH is typically benign, and usually, no treatment is needed.Hemangiomas are the most common and are entirely benign. Treatment is unnecessary unless their expansion causes symptoms.Adenomas are associated with contraceptive hormone use. They can cause pain and can bleed or rupture, causing acute problems. Their main interest for the physician is a low potential for malignant change and a 30% risk of bleeding.Reference: Harrison's Principles of Internal Medicine; Chapter 111; Tumors of the Liver and Biliary Tree